Not a feature of tumor lysis syndrome-
1. Hyperkalemia
2. Hyperuricemia
3. Hypercalcemia
4. Hyperphosphatemia

Correct answer: 3. Hypercalcemia

Explanation: Tumor lysis syndrome results when tumor cells release their contents into the blood after therapy or spontaneously. TLS is generally associated with hyperuricemia, hypocalcemia, hyperphosphatemia, and acute renal failure In conclusion, patients with non-Hodgkin's lymphoma may have hypercalcemia in TLS. Ref Harrison 20th edition pg 565